A child presents with ewings sarcoma. Histology shows it as one of the small round blue cell tumors. Which of the following gets accumulated in the cells of ewings sarcoma?
1. Fact
2. Proteoglycan
3. Glysaminoglycan
4. Glycogen

Correct answer: 4. Glycogen

Explanation: Microscopy of ewings sarcoma shows, sheets of uniform small, round tumor cells with scanty clear cytoplasm, rich in glycogen.